Not seen in first decade -
1. Retino blastoma
2. Rhabdomyo blastoma
3. Neuroblastoma
4. Amelo blastoma

Correct answer: 4. Amelo blastoma

Explanation: Ans. is 'd' i.e., Amelio blastomaNeuro blastoma o MC intra abdominal solid tumor in children,o Derived from neural crest,o 90% present before 5 years of age.o 50% present before 2 years of age.Rhabdomyo blastoma o MC soft tissue sarcoma in children < 15 years of age.o Half present below 5 years,o 2/3 present below 10 years.Retino blastoma o MC primary ocular tumor in children,o 90% diagnosed at age of 3-4 yeras.o 92% diagnosed by 5 yeras.o 20-30% is seen in both eye.Amelio blastoma o Also k/a odontogenic tumor of enamal origino Locally invasive.o Usually occur in middle age group (20-40 years),o Rare in children.No terminology like rhabdomyoblastoma is found in book and on internet so probably it is misprint and ans is (d) ameloblastoma.